Lymphatic spread is most commonly seen with which type of thyroid cancer -
1. Medullary
2. Papillary
3. Follicular
4. Lymphoma

Correct answer: 2. Papillary

Explanation: . Papillary